A patient has multiple neurofibromas, acoustic neuroma and Hyperpigmented skin lesions; most likely diagnosis is -
1. Neurofibromatosis
2. Tuberous sclerosis
3. Von Hippel lindau disease
4. Sturge weber syndrome

Correct answer: 1. Neurofibromatosis

Explanation: Neurofibromatosis (NF) is a group of three conditions in which tumors grow in the nervous system. The three types are neurofibromatosis type I (NF1), neurofibromatosis type II (NF2), and schwannomatosis.In NF1 symptoms include light brown spots on the skin, freckles in the armpit and groin, small bumps within nerves, and scoliosis.In NF2 there may be hearing loss, cataracts at a young age, balance problems, flesh-colored skin flaps, and muscle wasting. In terms of signs the individual might have are the following: Six or more light brown dermatological spots ("cafe au lait spots") At least two neurofibromas At least two growths on the eye's iris Abnormal growth of the spine (scoliosis) Ref Harrison20th edition pg 1334